Oral contraceptive pills give protection against which of the following cancer ?
1. Hepatic
2. Ovary
3. Cervix
4. Breast

Correct answer: 2. Ovary

Explanation: The incidence of ovarian cancer is reduced by 40% and uterine malignancy by 50% if taken for 1 year, and this effect lasts as long as 10 years after stoppage. The risk decreases with duration of its use. Reference : Shaw's Texbook of Gynaecology 16th edition page no 274